Keratin is a tumour market for -
1. Carcinoma cervix
2. Neurofibroma
3. Rhabdomyosarcoma
4. Chorio carcinoma

Correct answer: 1. Carcinoma cervix